Which of the following parotid gland tumor shows hot spot on tc99 pertechnate scan?
1. adenolymphoma
2. adenoidcystic ca
3. acinic cell ca
4. Adenocarcinoma

Correct answer: 1. adenolymphoma

Explanation: Ans. is 'a' ie adenolymphoma (a) scan the salivary glands, especially the parotids; and (b) assess salivary gland function. All salivary tumours produce a `cold' spot on 99mTc (technetium) scan except adenolymphoma (Warthin's tumour) and Oncocytoma. They take up more isotope than the rest of the gland to give a 'hot' spot on scan, so that a definite pre-operative diagnosis can be made without biopsy